Lumbar sympathectomy is not indicated in ?
1. Healing of ulcer over great toe
2. Claudication
3. Rest pain
4. Buerger's disease

Correct answer: 2. Claudication

Explanation: Ans is 'b' ie Claudication